fay Sach's disease is an inborn error of metabolism due to deficiency
1. Hexosaminidase-A
2. Aryl sulfatase-A
3. a-galactosidase
4. Galactocerebrosidase

Correct answer: 1. Hexosaminidase-A

Explanation: (A) Hexosaminidase-A SPHINGOLIPIDOSESDiseaseEnzyme Deficiency* Tay-sachs diseaseHexosaminidase A* Fabry's diseasea-Galactosidase* Metachromatic leukodystrophyArylsulfatase A* Krabbe's diseaseb-Galactosidase* Gaucher's diseaseb-Glucosidase* Niemann-Pick diseaseSphingomyelinase* Farber's diseaseCeramidase